Sensory fibers from the taste buds in the hard and soft palate travel along:
1. Trigeminal nerve
2. Facial nerve
3. Glossopharynegeal nerve
4. Vagus nerve

Correct answer: 2. Facial nerve

Explanation: Ans. is 'b' ie Facial Nerve (Ref. BDC, 4/e, vol3, p212; Gray's Anatomy 39/ep590)Taste buds are not known to be found on the hard palate. But still, if present, their taste sensations and those from the soft palate taste buds are carried by greater and lesser palatine nerves.Palatine nerves carry gustatory fibers of the facial nerve.Innervations of taste budsThree cranial nerves are known to carry taste sensations from the taste buds. There areFacial (VII)Glossopharyngeal (IX) andVagus (X)Facial nerve carries taste sensation from -Anterior 2/3 part of the tongue, excluding circumvallate papillae, through chorda tympani nerve.The inferior surface of the soft palate, through the lesser palatine nerve.Glossopharyngeal nerve carries taste sensation from taste bud inPosterior 1/3 part of the tongue.Circumvallate papillae.Palatoglossal arches.Oropharynx.Vagus Nerve carries taste sensation from the taste buds in.Extreme pharyngeal part of the tongue.Epiglottis.